The treatment options for patients with RRMS (relapsing-remitting multiple sclerosis) are all except?
1. Interferon-b la
2. Interferon alpha
3. Glatiramer acetate
4. Interferon-b lb

Correct answer: 2. Interferon alpha

Explanation: Ans. is B. The drugs used for multiple sclerosis Drug Mechanism 1. Interferon-b la Interferon-b lb o Downregulates expression of MHC molecules on antigen presenting cells o | Pro-inflammatory and | regulatory cytokines o | T-cell proliferation o | Entry of inflammatory cells in CN S 2 Glatiramer o | Suppressor T-cells o Displace MBP by binding to MHC molecules o | Pro-inflammatory and | regulatory cytokines 3, Natalizumab (Monoclonal antibody against a4 subunit of a4b1 integrin on lymphocytes) o Prevents lymphocytes from binding to endothelial cells, thus inhibits transfer across BBB and entry in CHS